Urea is formed in:
1. Brain
2. Kidney
3. Liver
4. Intestine

Correct answer: 3. Liver

Explanation: C & A Harper, 26th ed, p. 244 & 25,h ed, p. 319